Necrotising ragged ulceration with no apparent inflammatory response is indicative of:
1. Leucocytosis
2. Polycythemia vera
3. Sickle cell anemia
4. Agranulocytosis

Correct answer: 4. Agranulocytosis